A 50 years old lady with history of carcinoid syndrome complains of flushing and diarrhea. Which of the following is not true regarding this syndrome?
1. Occurs in <10% of carcinoid tumors
2. Octreotide injection reduces symptoms of flushing and diarrhea
3. Attacks precipitated by stress, alcohol and large meal
4. Bright-red patchy flushing is typically seen with ileal carcinoids

Correct answer: 4. Bright-red patchy flushing is typically seen with ileal carcinoids

Explanation: Carcinoid syndrome: Occurs in <10% of carcinoid tumors Precipitated by Stress , Sex, Alcohol , Heavy meal . Bright-red patchy flushing is typically seen in Gastric carcinoids MC symptom - Abdominal pain Octreotide injection reduces symptoms of flushing and diarrhea Best investigation - DOPA - PET